Which of the following not transmitted by mosquito
1. Filaria
2. Malaria
3. Yellow fever
4. Relapsing fever

Correct answer: 4. Relapsing fever

Explanation: (D) (Relapsing fever) (716 park/22rd)1. Relapsing fever caused by - Borrelia recurrentis2. Vincent's angina caused by - Borrelia vincentii3. Lyme disease caused by - Borrelia burgdorferiMosquito-borne diseases in IndiaType of mosquitoDisease1. Anopheles* Malaria* Filaria (not in india)2. CulexBancroftian filariasis Japanese encephalitis west Nile fever viral arthritis (epidemic /polyarthritis)3. AedesYellow fever (not in india) Dengue Dengue haemorrhagic fever Chikungunya fever chkungunya haemorrhagic fever Rift valey fever filaria (not India)4. MansonoidesMaiayan (Brugian) filariasis Chkungunya fever- Soft tick - Q fever, Relapsing fever- Louse - Epidemic typhus, relapsing fever ** trench fever, pediculosis